Which of the following is not used as local injection for of ophthalmic use?
1. Triamcinolone
2. Prednisolone
3. Betamethasone
4. Dexamethasone

Correct answer: 2. Prednisolone

Explanation: Answer- B. PrednisolonePeriocular steroid injections are:-Subconjunctival injection - Betamethasone or dexamethasoneSubtenon or retrobulbar injection - TriamcinoloneIntraocular steroid injections are :-Injection - intravitreal triamcinoloneSlow-release implants - fluocinolone or dexamethasone